Which of the following causes least irritation of peritoneal cavity?
1. Bile
2. Blood
3. Pancreatic enzymes
4. Gastric juice

Correct answer: 2. Blood

Explanation: Gastric juice, pancreatic juice, bile, urine and meconium irritate the peritoneum and leads to aseptic (or chemical) peritonitis. Ref: Maingot's 10/e, Page 637.